Investigation of choice for temporal bone injury:
1. CT scan
2. MRI
3. Angiography
4. Plain x-ray a

Correct answer: 1. CT scan

Explanation: A i.e. CT scan